The maximum chances of HIV infection being transmitted to the fetus/ infant in an HIV infected mother are during:
1. First trimester
2. Second trimester
3. Peripartum
4. During breastfeeding

Correct answer: 3. Peripartum

Explanation: Vertical transmission of HIV (out of total 100 %) before 36 weeks: 20 % days before delivery: 50 % intrapartum: 30 % The risk of transmission during breast feeding may be as high as 30-40%. Also note that at all stages, risk of HIV transmission is directly related to maternal HIV viral load. Therefore maximum risk , out of given options is peripartum (days before delivery + intrapartum + immediate post partum) So to bring this infection rate less than 2 % all the HIV positive pregnant woman are started on anti-retroviral (ART) drugs irrespective of CD 4 count throughout pregnancy.